iloprost used in pulmonary hypertension
1. Inhalation
2. Intravenous
3. Oral
4. Subcutaneous

Correct answer: 1. Inhalation

Explanation: Pulmonary hypertension is incurable but new treatments have delivered significant improvements in exercise performance, symptoms and prognosis. Allpatients should be anticoagulated with warfarin, and oxygen, diuretics and digoxin prescribed as appropriate. Specific treatment options include high-dose calcium channel blockers, prostaglandins such as epoprostenol (prostacyclin) or iloprost therapy inhalation , the PDE5 inhibitor sildenafil, and the oral endothelin antagonist bosentan. ref:davidsson's principles and practices medicine,21 st ed,pg no 702